Anterior interosseous nerve is a branch of?
1. Radial nerve
2. Median nerve
3. Ulnar nerve
4. Axillary nerve

Correct answer: 2. Median nerve

Explanation: Ans. is 'b' i.e., Median nerve Anterior interosseous nerve is a branch of median nerve. Anterior interosseous artery is a branch of ulnar artery.